Largest organelle in eukaryote is
1. ER
2. Nucleus
3. Cytoskeleton
4. Golgi body

Correct answer: 2. Nucleus

Explanation: The Nucleus - The nucleus constitute the central, more dense, part of the cell. It is usually rounded or ellipsoid. Occasionally it may be elongated, indented or lobed. It is the largest cell organelle measuring 4-10 um in diameter. All cells in the body contain nucleus, except mature red blood cells (RBCs) in circulation. Nuclear Components - Chromatin, Nucleolus, Nuclear membrane, Nucleoplasm. REF : Inderbir Singh's Textbook of Human Histology, seventh edition, pg.no., 28.